Not a feature of Homer syndrome
1. Exophthalmos
2. Ptosis of upper eyelid
3. Miosis
4. Conjuctival congestion

Correct answer: 1. Exophthalmos

Explanation: A i.e. Exophthalmos